Tumor associated with polycythemia is :
1. Sarcoma
2. Pituitary adenoma
3. Cerebellar haemangioblastoma
4. None of the above.

Correct answer: 3. Cerebellar haemangioblastoma

Explanation: Answer is C (Cerebellar haemangioblastoma) Tumors associated with polycythemia vera are : Hypernephroma * Cerebellar Haemangioblastoma Hepatoma * Uterine fibromyoma Adrenal adenoma * Meningioma Pheochromocytoma